Recombinant human insulin is made by
1. CDNA from any eukaryote cell
2. Genome of any eukaryote
3. CDNA of pancreatic cell
4. Genome of pancreatic cell

Correct answer: 3. CDNA of pancreatic cell

Explanation: Answer is C (CDNA of pancreatic cell)